Wof alkylating agent is known to cause disulfiram like reaction
1. Melphalan
2. Procarbazine
3. Carmustine
4. Ifosfamide

Correct answer: 2. Procarbazine

Explanation: Procarbazine It is a weak MAO inhibitor; It produces sedation and other CNS effects, and can interact with foods and drugs. Alcohol causes hot flushing and a disulfiram-like reaction in patients taking procarbazine. Males may suffer sterility. Vomiting, leucopenia, thrombocytopenia are the prominent toxicities. Ref:- kd tripathi; pg num:-861